A 34 year old female with Cushing's syndrome is taken for a surgery. Which anaesthetic agent is known to produce adrenocortical suppression?
1. Thiopentone
2. Etomidate
3. Ketamine
4. Propofol

Correct answer: 2. Etomidate

Explanation: Etomidate inhibits the enzyme, 11- hydroxylase, which is necessary for the production of cortisol, aldosterone, and corticosterone. Even single doses of etomidate can produce adrenocortical suppression lasting 24 hours or more in healthy patients. Etomidate is contraindicated in patients with established or evolving septic shock because of its inhibition of cortisol synthesis. Ref: Pharmacology and Physiology in Anesthetic Practice By Robert K. Stoelting, Simon C. Hillier, 2012, Chapter 6; Procedures and Techniques in Intensive Care Medicine, 4e By Richard S Irwin, MD, James M Rippe, M.D., 2007, Page 172.